All the following are major criteria for diagnosis of rheumatic fever (RF) except
1. Carditis
2. Polyarthritis
3. Fever
4. Erythema marginatum

Correct answer: 3. Fever

Explanation: Guidelines for the clinical diagnosis of acute rheumatic fever, originally suggested by T. Duckett Jones have been revised by the American heart association and WHO. The guidelines consist of major, minor and essential criteria. Two major or one major and two minor criteria are required in the presence of essential criteria to diagnose acute rheumatic fever.WHO criteria for diagnosis of rheumatic fever (RF) and rheumatic heart disease (based on the revised Jones criteria) MajorMinorEssentialCarditisPolyarthritisChoreaErythema marginatumSubcutaneous nodules Clinical (fever, polyarthralgia) Laboratory (elevated erythrocyte sedimentation rate, leukocyte count)Electrocardiogram (prolonged P-R interval) antistreptolysin 'O' titer (ASO)Positive throat culture Presence of residua of scarlet fever Reference: Essential Paediatrics; O.P. Ghai; Page no: 435